End product of progesterone metabolism found in urine
1. Pregnenolone
2. 17-OH Pregnenolone
3. Pregnanetriol
4. Pregnanediol

Correct answer: 4. Pregnanediol

Explanation: Fate of progesterone

Within a few minutes after secretion, almost all the progesterone is degraded to other steroids that have no progesterone effect
The major end product of progesterone degradation is pregnanediol. Approximately 10%  is excreted in urine in this form